For most molar anchor teeth, retainer used is:
1. W56
2. W7
3. W8
4. W4

Correct answer: 1. W56